A patient presents with respiratory symptoms i.e. cough, hemoptysis and glomerulonephritis. His C-ANCA levels in serum were found to be raised. The most likely diagnosis is –
1. Goodpasteur’s syndrome
2. Classic polyarteritisnodosa
3. Wegener’s granulomatosis
4. Kawasaki syndrome

Correct answer: 3. Wegener’s granulomatosis

Explanation: Renal and pulmonary symptoms with positive c-ANCA suggest the diagnosis of wegner’sglomerulonepritis
Clinical syndrome of wegner granulomatosis may be very similar to classical PAN or microscopic polyangitis.